Which of the following statements about Cushing's disease is true?
1. Serum adrenocorticotropin (ACTH) levels usually are low
2. Pituitary microadenoma usually is present
3. There is a high incidence of nonendocrine tumors
4. Nonsuppression of cortisol production by the high-dose dexamethasone suppression test is a characteristic finding

Correct answer: 2. Pituitary microadenoma usually is present

Explanation: Cushing's syndrome is due to increased adrenal cortisol production, regardless of aetiology.Cushing's disease usually is caused by a pituitary microadenoma producing high adrenocorticotropin (ACTH) levels.In most patients, cortisol levels would be suppressed as a result of the high-dose dexamethasone suppression test.Transsphenoidal microsurgical removal of the microadenoma is the treatment of choice in most centres.